Eugene Bleuler's four 'A' of schizophrenia are all EXCEPT
1. Autism
2. Affect
3. Anhedonia
4. Association

Correct answer: 3. Anhedonia

Explanation: Ans. c (Anhedonia) (Ref: Psychiatry by Niraj Ahuja 5th/pg. 55)SCHIZOPHRENIA# It commonly begins in late adolescence, has an insidious (and less commonly acute) onset, and, classically, a poor outcome, progressing from social withdrawal and perceptual distortions to a state of chronic delusions and hallucinations.# Patients may present with positive symptoms (such as conceptual disorganization, delusions, or hallucinations) or negative symptoms (loss of function, anhedonia, decreased emotional expression, impaired concentration, and diminished social engagement) and must have at least two of these for a 1-month period and continuous signs for at least 6 months to meet formal diagnostic criteria.# "Negative" symptoms predominate in one-third of the schizophrenic population and are associated with a poor long- term outcome and a poor response to drug treatment.# Eugen Bleuler's fundamental symptoms of schizophrenia (4 A's)deg:- Ambivalence (marked inability to decide for or against)- Autism (Withdrawal into self)- Affect blunting (Disturbance of affect)- Association disturbances (loosening of association, thought disorder)# The four main subtypes of schizophrenia are catatonic, paranoid, disorganized, and residual.Catatonic-type:# Patients whose clinical presentation is dominated by profound changes in motor activity, negativism, and echolalia or echopraxia.- Paranoid-type:# Patients who have a prominent preoccupation with a specific delusional system and who otherwise do not qualify as having disorganized-type disease.- Disorganized-type:# Characterized by disorganized speech and behavior are accompanied by a superficial or silly affect.- Residual-type:# Negative symptomatology exists in the absence of delusions, hallucinations, or motor disturbance.# The term schizophreniform disorder describes patients who meet the symptom requirements but not the duration requirements for schizophrenia, and schizoaffective disorder is used for those who manifest symptoms of schizophrenia and independent periods of mood disturbance.Q